Rate of subsequent GTN in complete molar pregnancy?
1. < 1 %
2. 1-5 %
3. 5-10 %
4. 15-20 %

Correct answer: 4. 15-20 %

Explanation: Complete moles have a 15 to 20 percent incidence of malignant sequelae, compared with 1 to 5 percent following partial moles.Reference: William's Obstetrics; 25th edition, chapter 20; Gestational trophoblastic diseases